Cardiac CT is done in ____:
1. Early systole
2. Mid systole
3. Mid diastole
4. Early diastole

Correct answer: 3. Mid diastole

Explanation: Ans. C. Mid diastole* Cardiac CT is done in mid diastole assisted by synchronous ECG gating.* Cardiac CT is an example of multi slice CT/multidetector CT (MDCT).* In spiral CT only one section in one rotation. In MDCT multiple sections in one rotation.* Cardiac CT is done in CAD and for coronary calcium scoring.- Coronary calcium scoring denotes degree of atherosclerosis and is done by the Agatston method.